Type A' growth pattern is
1. Middle third of face grows faster than lower third
2. Lower third of face grows faster than middle third
3. Prognosis is poor
4. Equal growth is seen

Correct answer: 4. Equal growth is seen